Most accurate measurement of extracellular fluid volume (ECF) can be done by using
1. Sucrose
2. Mannitol
3. Inulin
4. Aminopyrine

Correct answer: 3. Inulin

Explanation: Ans. (c) Inulin(Ref: Guyton, 13th ed/p.309)Inulin - Gold standard substance for ECF measurementOther indicators used in ECF measurement are,#Sucrose#Mannitol#Sodium Thiosulphate